Is 70 year old man was administered penicillin intravenous within five minutes, he developed generalized urticaria, swelling of lips, hypotension and bronchospasm. the first choice is to administer
1. Chlorpheneramine inj
2. Epinephrine inj
3. High dose hydrocortisone tablet
4. Nebulized salbutamol

Correct answer: 2. Epinephrine inj

Explanation: Epinephrine (adrenaline) is a drug of choice for anaphylactic shock. it is given by subcutaneous or intramuscular route in a concentration of 1:1000. intravenous route is rarely used but at match but that much lower concentration(1:10,000) Refer kDT 6/e p128